Which of the followinu artery does not supply medulla?
1. Anterior spinal artery
2. Vertebral artery
3. Posterior inferior cerebellar artery
4. Superior cerebellar artery

Correct answer: 4. Superior cerebellar artery

Explanation: Ans. d. Superior cerebellar arteryMedulla is supplied by anterior spinal artery, branches of vertebral artery and posterior inferior cerebellar artery (but not the Superior cerebellar artery).Blood supply of Medulla Oblongata1. Anterior spinal arteryQThe anterior spinal artery supplies the whole medial part of the medulla oblongata.A blockage (such as in a stroke) will injure the pyramidal tract, medial lemniscus, and the hypoglossal nucleus.This causes a syndrome called medial medullary syndrome.2. Posterior inferior cerebellar artery (PICA)Q:The posterior inferior cerebellar artery, a major branch of the vertebral artery, supplies the posterolateral part of the medulla, where the main sensory tracts run and synapse.3. Direct branches of the vertebral arteryQ;The vertebral artery supplies an area between the other two main arteries, including the nucleus solitarius and other sensory nuclei and fibers.Lateral medullary syndrome can be caused by occlusion of either the PICA or the vertebral arteries.